Pulse Polio Immunization is administration of OPV to:-
1. All children between 0-5 years of age on a single day, irrespective of their previous immunization status
2. Children in the age group of 0-1 year only who have not been immunized earlier
3. Children in the age group of 12-24 months only, as the booster dose
4. All children between 0-5 years of age, whenever there is an outbreak of poliomyelitis

Correct answer: 1. All children between 0-5 years of age on a single day, irrespective of their previous immunization status

Explanation: Pulse polio immunization programme in India:- Launched in India: 1995-96. First PPI targeted children <3 years age. Later on WHO recommended age group be 0-5 years. Meaning of 'pulse': sudden, simultaneous mass administration of oral polio vaccine on a single day to 'all children of 0-5 years age'. Irrespective of their previous immunization status. PPI replaces wild virus with vaccine virus from the community. PPI is over and above routine immunization.